Iron absorption occurs chiefly from
1. Small Intestine
2. Duodenum
3. Stomach
4. Oesophagus

Correct answer: 2. Duodenum

Explanation: Iron absorption occurs in duodenal part of the small intestine.